A patient is found to have sun-sensitive dermatitis, diarrhea, and dementia he must be suffering from the deficiency of which of the following.
1. Niacin
2. Riboflavin
3. Folic acid
4. Iron

Correct answer: 1. Niacin

Explanation: The most common symptoms of niacin deficiency involve the skin, the digestive system, and the nervous system. The symptoms of pellagra are commonly referred to as the three "Ds": sun-sensitive dermatitis, diarrhea, and dementia. A fourth "D," death, occurs if pellagra is left untreated